Acrodermatitis enteropathica is inherited as?
1. X-linked recessive
2. X-linked dominant
3. Autosomal recessive
4. Autosomal dominant

Correct answer: 3. Autosomal recessive

Explanation: Answer- C. Autosomal recessiveAcrodermatitis enterooathica is inherited as an autosomal recessive disorder.Cystic fibrosisPhenylketonuriaGalactosemiaHomocystinuriaLysosomal storage disease.alpha 1-antitrypsin deficiencyWilson diseaseHemochromatosisGlycogen storage disordersAcrodermatitis enteropathica